Which one of the following drugs is used to treat status epilepticus ?
1. Primidone
2. Carbamazepine
3. Diazepam
4. Sodium valproate

Correct answer: 3. Diazepam